All of the following statements about primary sclerosing cholangitis are true, Except:
1. Increased risk associated with smoking
2. Associated with Ulcerative colitis
3. GGT elevation occurs early
4. Pruiritis is a common presenting symptom

Correct answer: 1. Increased risk associated with smoking

Explanation: Answer is A (Increased risk associated with smoking)Smoking is associated with a decreased risk of developing primary sclerosing cholangitis (and not an increased risk) As in ulcerative colitis, smoking is associated with a decreased risk of primary sclerosing cholangitis' -- CMDTTwo important conditions with decreased risk from smokingUlcerative colitis (UC)QPrimary sclerosing cholangitis (PSC) Q